The Uveitis associated with vitiligo & auditory defects occurs in –
1. Behcet's syndrome
2. Steven Johnson syndrome
3. Vogt–Koyanagi syndrome
4. Ankylosing–spondylitis

Correct answer: 3. Vogt–Koyanagi syndrome

Explanation: Vogt Koyanagi - Harada (VKH) syndrome

It is an idiopathic multisystem disorder which includes cutaneous, neurological and ocular lesions.
The disease is comparatively more common in Japanese who are usually positive for HLA-DR4 and DW15.

Clinical features


Cutaneous lesions include: alopecia, poliosis and vitiligo.


Neurological lesions are in the form of meningism, encephalopathy, tinnitus, vertigo and deafness.


Ocular features are bilateral chronic granulomatous anterior uveitis, posterior uveitis and exudative retinal detachment.